The finding of urine sodium concentration <20 mmol/L in hypovolemic hyponatremia implies
1. Salt-wasting nephropathy
2. Diuretic therapy
3. Hypoaldosteronism
4. Trauma

Correct answer: 4. Trauma

Explanation: Hypovolemic hyponatremia Urine sodium concentration >20 mmol/L Renal losses Diuretic excess Mineral corticoid deficiency Salt-losing deficiency Bicarbonaturia with Renal tubal acidosis and Metabolic alkalosis Ketonuria Osmotic diuresis Cerebral salt wasting syndrome Urine sodium concentration <20 mmol/L Extrarenal losses Vomiting Diarrhea Third spacing of fluids Burns Pancreatitis Trauma Ref: Harrison 19e pg: 299